The movement of the coronoid process is recorded in the impression, in the finished denture it will be called as:
1. Coronoid groove.
2. Coronoid process.
3. Coronoid fossa.
4. Any of the above.

Correct answer: 1. Coronoid groove.

Explanation: The movement of the coronoid process is recorded in the impression and will become the coronoid groove in the finished denture flange